True about osteoid osteoma is
1. Onset before the age of 10 years
2. Bone scan shows decreased uptake
3. Radiolucent zone surrounded by sclerosis
4. Night pain not relieved by salicylates

Correct answer: 3. Radiolucent zone surrounded by sclerosis

Explanation: Answer- C. Radiolucent zone surrounded by sclerosisOsteoid osteoma is the most common true benign tumor of the bone.The characteristic feature is the formation of a small nidus of osteoid tksue, surrounded by a reactive zone of dense sclerosis (Sclerotic new bone formation).The tumor occurs between 10-30 years of age and is more common in males.On X-ray, there is a small radiolucent area (nidus) surrounded by dens sclerosis.Bone scan shows increased uptake in the nidus.The only treatment is wide en block excision along with internal fixation with or without bone grafting.